Transverse fracture of medial malleolus is due to
1. Adduction
2. Abduction
3. Inversion
4. Flexion

Correct answer: 2. Abduction